Targeted intervention for HIV is done for all except
1. Commercial sex worker
2. Migrant laborers
3. Street children
4. Industrial worker

Correct answer: 4. Industrial worker

Explanation: Industrial worker is not included in the targeted intervention. Reference:Park's textbook of preventive and social medicine,23rd edition,page no:436,20th edition,pg no:373.